Treatment of CMV retinitis in AIDS patient is
1. Amantadine
2. Fludrabine
3. Oseltamivir
4. Valganciclovir

Correct answer: 4. Valganciclovir

Explanation: Answer- D. ValganciclovirValganciclovir- pro-drug of ganciclovir that is taken orally and is as effective for both induction.